Which of the following causes highest risk of nosocomial infection to a patient aEUR'
1. Patient admitted for elective surgery
2. HIV patient coming in follow up OPD
3. Patient undergoing endoscopy
4. Patient admitted for normal delivery

Correct answer: 1. Patient admitted for elective surgery

Explanation: Patient admitted for elective surgery [Ref: www.edc.goy;www.reproline..jhu.edui Most common nosocomial infection -4 Urinary tract infection. - Most of the nosocomial UTIs occur after urinary catheterization. Second most common nosocomial infection --> Pneumonia. - Most of the nosocomial pneumonias are acquire through respiratory intubation, mechanical ventilation and suction of the material from mouth. Next most common cause of nosocomial infection Surgical procedures. - Surgical procedures increases a patient's risk of getting an infection in the hospital. Surgery directly invades the patient's body giving bacteria a way into normally sterile parts of the body. - An infection may be acquired from contaminated surgical equipment or from health-care workers. Following surgery, the surgical wound can become infected. Other hospital procedures that put patients at risk for nosocomial infection are : ? - Gastrointestinal procedures (endoscopy) - Obstetric procedures - Kidney dialysis